Tumours of anterior mediastinum include the following except -
1. Thymoma
2. Lymphoma
3. Germ cell tumour
4. Schwanoma

Correct answer: 4. Schwanoma